A 60-year- old man fell in bathroom and was unable to stand on right buttock region echymosis with external rotation of the led and lateral border of foot touching the bed. The most probable diagnosis is:
1. Extra capsular fracture neck of femur
2. Anterior dislocation of hip
3. Intra capsular fracture neck of femur
4. Posterior dislocation of hip

Correct answer: 1. Extra capsular fracture neck of femur

Explanation: A i.e. Extracapsular fracture neck femur Differences Between Intracapsular Fracture Neck Femur & Extra capsular Fracture Intertrochanteric Femur Feature Intracapsular Neck Fracture Extracapsular Intertrochanteric Fracture Patient profile Patients are mole likely to be olderQ, in poorer health and have comorbid conditions. (in comparison to neck femur). Age Common after 50 yrs (but most common in 7th decade) Common after 60 years (but most common in 8th decade) Sex Both fractures are more common in elderly females but males are relatively more prone to develop fracture intertrochanteric femur. Velocity of trauma Trivial (usually) Less Significant (as compared to neck femur) More Blood loss Less More Pain Mild Severe Swelling & Ecchymosis Nil SevereQ External rotation deformity < 45deg > 45deg (lateral border of foot touching couch)Q Shortening > 1 inch Tenderness Scarpa's triangle (anterior hip joint line) Over greater trochanter Broadening of greater trochanter Absent PresentQ Straight leg raising & Ability to walk May be present in impacted fractures Absent (Not possible) Conservative treatment Not successful Union may be achieved Surgery Absolute indication Indicated for early rehabilitation & prevention of malunion Nonunion, AVN Very commonQ Almost not seen Rare Most common complicationQ Malunion